Triangular cord sign in a neonate is seen in?
1. Galactosema
2. Hepatitis
3. Biliary atresia
4. Hemangioblastoma

Correct answer: 3. Biliary atresia

Explanation: Ans CThe triangular cord signQ is a triangular or tubular echogenic cord of fibrous tissue seen in the porta hepatis at ultrasonography and is relatively specific for the diagnosis of biliary atresiaQ. It is useful in the evaluation of infants with cholestatic jaundice, helps in differentiating from neonatal hepatitis.